CLED medium is preferred over MacConkey for culture of organisms implicated in urine infection. The reason is:
1. It prevents swarming of Proteus
2. Differentiate LF and NLF
3. Promote growth of Staphylococcus, Streptococcus and Candida
4. Identifies Pseudomonas

Correct answer: 3. Promote growth of Staphylococcus, Streptococcus and Candida

Explanation: Ans. C. Promote growth of Staphylococcus, Streptococcus and CandidaCLED Agar: Cysteine Lactose Electrolyte deficient agar. It is similar to MacConkey agar for differentiation of LF and NLF which can be used as a good alternate to combination of blood agar and MacConkey ager for processing of urine specimens with certain advantages over MacConkey agar (supports growth of Gram positive cocci (except B hemolytics Streptococci) and Candida over blood agar (prevents swarming of Proteus).